Sudden acute loss of vision with shallow anterior chamber is suggestive of
1. Acute angle closure glaucoma
2. Acute iridocyclitis
3. Open angle glaucoma
4. Viral keratitis

Correct answer: 1. Acute angle closure glaucoma

Explanation: Answer- A. Acute angle closure glaucomaLid edemaConjunctiva is chemosed and congested (both conjunctival & ciliaryvessels are congested) o Cornea is oedematous and insensitive Anterior chamber is very shallow & with aqueous flare Angle of anterior chamber is closed (on gonioscopy) Iris is discoloured.Optic disc is oedematous & hyperemic Fellow eye shows shallow anterior chamber and a narrow angle.